SARS is a type of
1. Rhinovirus
2. Lenti virus
3. Calcivirus
4. Corona virus

Correct answer: 4. Corona virus

Explanation: The SARS coronavirus (SARS-CoV):*Virus that causes severe acute respiratory syndrome (SARS)*It belongs to coronaviridae*November 2002, Guangdong province in south China experienced an outbreak of an unusual respiratory infection, with many deaths (Ref: Ananthanarayan 9th edition, p559-560)